Beta HCG is secreted by
1. Ovary
2. Pituitary
3. Corpus luteum
4. Placenta

Correct answer: 4. Placenta

Explanation: In molecular biology, human chorionic gonadotropin (hCG) is a hormone produced by the syncytiotrophoblast, a component of the fertilized egg, after conception. Following implantation, the syncytiotrophoblast gives rise to the placenta.Ref: Ganong's review of medical physiology; 24th edition; page no:-414